Grades of binocular vision-
1. Grade 1: Fusion
2. Grade 2: Fusion
3. Grade 1: Stereopsis
4. Grade 2: Stereopsis

Correct answer: 2. Grade 2: Fusion

Explanation: Worth described three grades of binocular single vision - Grade I - Simultaneous perception. It is the power to see two dissimilar objects simultaneously. Grade II - Fusion. It consists of the power to superimpose teo incomplete but similar images to form one complete image. Grade III - Stereopsis. It consists of the ability to perceive the third dimension(depth perception). Ref; A.K.Khurana; 6 th Edition; Page no: 342